who is the sceintist who got noble prize for his contribution for psychosurgery
1. erik erikson
2. alfred adler
3. manfred bleuler
4. egaz moniz

Correct answer: 4. egaz moniz

Explanation: * Jacobson=================lobotomy in chimpanzees * Almedia lima+ egaz moniz===PF leukotomy * Subcaudate tractotmy======OCD * Limbic leukotomy=========OCD and depression * Anterior capsulotomy Anterior cingulotomy Ref. kaplon and sadock, synopsis of psychiatry, 11 th edition, pg no. 1065